TIGAR-O classification is for
1. Acute pancreatitis
2. Chronic pancreatitis
3. Pancreatic cancer
4. Pancreatic injuries

Correct answer: 2. Chronic pancreatitis

Explanation: Chronic pancreatitis Classification of various causes of chronic pancreatitis based on TIGAR-O system TIGAR-O consists of Toxic metabolites Idiopathic Genetic Autoimmune Recurrent severe Obstructive Ref: Sabiston 20th edition Pgno :1531-1536